Most common cause of renal tumor in adult is?
1. Family history
2. Smoking
3. Obesity
4. Hypertension

Correct answer: 2. Smoking

Explanation: Answer- B. SmokingImportant risk factors for RCC are smoking (most significant), obesity, hypertension, asbestos exposure, estrogen therapy, CRF, tuberous sclerosis and familial conditions (Von Hippel-Lindau syndrome).